A boy presented with weakness in lower limbs, calf hypertrophy, positive Gower's sign and an elevated CPK value of 10,000. The most likely diagnosis is:
1. Duchenne Muscular Dystrophy
2. Spinal Muscular Atrophy
3. Myotonia congenita
4. Myotonic Dystrophy

Correct answer: 1. Duchenne Muscular Dystrophy

Explanation: A male child presenting with lower limb weakness, calf hypertrophy, Postive Gower's sign associated with high levels of CPK suggests the diagnosis of DMD. Ref: Essential of Pediatrics By O P Ghai, 6th Edition, Page 547-548